Which of the following is safe drug for nursing mother?
1. Chloramphenicol
2. Digoxin
3. Lithium
4. Amphetamines

Correct answer: 2. Digoxin

Explanation: Ans. is 'b' i.e., Digoxin